Fear of strangers-
1. Algophobia
2. Xenophobia
3. Mysophobia
4. Thanatophobia

Correct answer: 2. Xenophobia

Explanation: Ans. is 'b' i.e., Xenophobiao The common types of phobia are:-1) Agoraphobia# This is an example of irrational fear of situations. It is the commonest type of phobia encountered in clinical practice.# It is characterized by an irrational fear of being in places away from familiar setting of home and patient believes that he cannot escape from these places, to a safer place (usually home). This fear results in avoidance of these places which include public places, stores, crowd, travelling alone in bus, train or plane, Theaters, Tunnels, Bridge, standing in line small enclosed rooms or lifts.2) Social phobia# In social phobia there is irrational fear of one or more social or performance situations in which the person is concerned about negative evaluation or scrutiny by others, for example : Public speaking; writing/drinking/ eating in public; using public lavatories.3) Specific (simple) phobia# These are phobias limited to highly specific situations or objects, for example.i) Claustrophobia:- Fear of closed spacesviii) Mysophobia:- Fear of dirt & germsii) Acro/Aerophobia:- Fear of high placesix) Erythrophobia:- Fear of blushingiii) Zoophobia:- Fear of animalsx) Sitophobia:- Fear of eatingiv) Pyrophobia:- Fear of firexi) Ailurophobia:- Fear of catsv) Xenophobia:- Fear of strangersxii) Sitaphobia:- Fear of dogsvi) Algophobia:-Fears of painxiii) Hydrophobia:- Fear of watervii) Thanatophobia : - Fear of death